Faster sperm is with which sex chromosome?
1. X chromosome
2. Y chromosome
3. Both same
4. None

Correct answer: 3. Both same

Explanation: Recent data confirms that Y-sperm does not swim faster than X sperm. Ref: Gray's 39e/p-1289